Ulipristal acetate is used for
1. Breast cancer
2. Endometriosis
3. Emergency contraception
4. AUB

Correct answer: 3. Emergency contraception

Explanation: This drug is a SPRM (selective progesterone receptor modulator). It is used for emergency contraception and is the only hormonal contraception that is effective for 120 hrs. It is contraindicated in hepatic disorder and in lactational mothers. For emergency contraception. a 30 mg tablet is used within 120 hours (5 days) after an unprotected intercourse or contraceptive failure. It has been shown to prevent about 60% of expected pregnancies, and prevents more pregnancies than emergency contraception with levonorgestrel. Ulipristal acetate is used for pre-operative treatment of moderate to severe symptoms of uterine fibroids in adult women of reproductive age in a daily dose of a 5 mg tablet.